Radioprotective drug is –
1. Paclitaxem
2. Vincristine
3. Amifostine
4. Etoposide

Correct answer: 3. Amifostine

Explanation: Amifostine (WR - 2721) is one of today's most widely studied radioprotector.